A dentist who first used ether as a general anaethetic was
1. Martin
2. Morton
3. Morrison
4. Murray

Correct answer: 2. Morton